Resting membrane potential of Myocytes is
1. -90 mV
2. -70 mV
3. -50 mV
4. -60 mV

Correct answer: 1. -90 mV